Treatment of red degeneration of fibroid during pregnancy:
1. Analgesics
2. Laparotomy
3. Termination of pregnancy
4. Removal at cesarean section

Correct answer: 1. Analgesics

Explanation: Ans. is a, i.e. AnalgesicsRef: Shaw 15th/ed p364; Dutta Obs 6th/ed p309; Jeffcoate 7th/ed p502Management of red degeneration of fibroid.* Patient is managed conservatively using analgesics, antipyretics and antiemetics.Q* No need of-- Antibiotics-- Myomectomy-- Termination of pregnancy